Artificial insemination with husband's semen is indicated in all the following situations, EXCEPT:
1. Oligospermia
2. Impotency
3. Antisperm antibodies in the cervical mucous
4. Azoospermia

Correct answer: 4. Azoospermia

Explanation: An Artificial insemination with husband's semen (IUI) is indicated in cases of: Oligospermia Impotency Premature or retrograde ejaculation Hypospadias Antisperm antibodies in the cervical mucous Unexplained infertility X-Y fractionation of sperms for sex selection in genetic and chromosomal abnormalities Azoospermia will require IUI with donor semen. ICSI can be performed with husband sperms, provided the sperms can be obtained by PESA or TESA.